Triamterene causes:
1. Hypokalemia
2. Muscle cramps
3. Decrease in urea level
4. Better glucose tolerance

Correct answer: 2. Muscle cramps

Explanation: Inhibitors of renal epithelial sodium channel - Triamterene, Amiloride Side effects are - nausea, vomiting, rash, headache, dizziness, constipation, low blood pressure, muscle cramps, hypersensitivity, pancreatitis, and jaundice, electrolyte disturbances ( Essentials of Medical Pharmacology, K.D Tripathi,6th edition, page 571)